Paranasal sinuses are ventilated during
1. Inspiration
2. Expiration
3. Mid inspiration
4. deep inspiration

Correct answer: 2. Expiration